Burns with destruction of the epidermis and papillary dermis is
1. 1st  degree
2. 2nd  degree
3. 3rd  degree
4. 4th  degree

Correct answer: 2. 2nd  degree

Explanation: 2nd degree superficial - epidermis and papillary dermis.
2nd degree deep - epidermis and entire dermis.